True regarding crohn's disease are A/E ?
1. Scleroderma
2. Transmural involvement
3. Cobble stone appearance
4. Skin involvement

Correct answer: 1. Scleroderma

Explanation: Ans. is 'a' i.e., Scleroderma The skin involvement in Crohn's disease causes erythema nodosum, scleroderma does not occur in Crohn's disease. Other extra intestinal manifestations of Crohn's disease: I. Migratory polyarthritis 2. Sacroiliaitis 5. Hepatic pericholangitis 7. Clubbing 3. Ankylosing spondylitis 4. Uveitis 6. Primary sclerosing cholangitis